Duschenne dystrophy is a
1. Autosomal dominant disorder
2. X-linked dominant disease
3. Autosomal recessive diseases
4. X linked recessive disease

Correct answer: 4. X linked recessive disease

Explanation: duchennes Dystrophy is progressive waeknessof gene muscles Dystrophin gene defects Unable to walk after age 13 Progressive. Kyphoscliosis Respiratory failure in 2nd or 3rd decade Refer Robbins 7th/1336